In hysteria, defense mechanism seen is
1. Projection
2. Introjection
3. Reaction formation
4. Dissociation

Correct answer: 4. Dissociation

Explanation: In Hysteria pt is not behaving intentionally rather he get dissociated from stressor by developing some motor /sensory complain like pseudoseizure, paralysis blindness etc subconsciously.